A child presented to the casualty with seizures. On examination an oval hypopigmented macules were noted on the trunk, along with sub-normal IQ. Probable diagnosis of the child is:
1. Neurofibromatosis
2. Sturge-Weber syndrome
3. Tuberous Sclerosis
4. Incontinentia Pigmenti

Correct answer: 3. Tuberous Sclerosis

Explanation: c. Tuberous Sclerosis(Ref: Nelson's 20/e p 2877-2878, Ghai p 586)Hypopigmented macules (ash leaf macules), sub-normal IQ and seizures point towards a diagnosis of Tuberous sclerosis.